Which of the following is a property of amino acids at isoelectric pH?
1. Maximum buffering action
2. Maximum precipitability
3. Maximum solubulity
4. Mobility in electric field

Correct answer: 2. Maximum precipitability

Explanation: The properties of an amino acid at isoelectric pH are as follows: Maximum precipitability Minimum buffering action (note: maximum buffering action is when the pH=pKa, and not at isoelectric pH) Minimum solubility No mobility in an electric field Reference Reference: Harpers illustrated biochemistry 30th edition